2day old baby brought to paediatric opd with history bilious vomitting, abdominal distension and mother was diagnosed polyhydramnios antenatally. XRAY was done shown below what is the most common anamoly associated with it
1. TRISOMY 13
2. TRISOMY 15
3. TRISOMY 18
4. TRISOMY 21

Correct answer: 4. TRISOMY 21

Explanation: The given image shows: Double bubble sign due to duodenal atresia Trisomy 21: Down syndrome Most common cause: Meiotic non-disjunction > Robertsonian translocation GI manifestations: Duodenal atresia (Double bubble sign on X-ray). Other points to be remembered: Single bubble -Hypertrophic pyloric stenosis Triple Bubble-Jejunal Atresia Mutliple Air fluid levels-Ileal Atresia